Which of the following is the principal mode of heat exchange in an infant incubator ?
1. Radiation
2. Evaporation
3. Convection
4. Conduction

Correct answer: 3. Convection

Explanation: "Convection warmed incubators are being routinely used for thermal regulation of thepremature neonate's ambient air"